In an encephala isole preparation, the transections is done at:
1. First cervical spinal segment
2. Level of medulla
3. Midpontine level
4. Midcollicular level

Correct answer: 1. First cervical spinal segment

Explanation: Ans. a. First cervical spinal segment